Most common antigen involved in erythroblastosis fetalis is
1. C antigen in Rh group
2. E antigen in Rh group
3. Duffy antigen
4. D antigen in Rh group

Correct answer: 4. D antigen in Rh group

Explanation: Erythroblastosis fetalis (Hemolytic Disease of the newborn)
Erythroblastosis fetalis is caused by the transplacental passage of maternal antibody active against paternal RBC antigens of the infant and is characterized by an increased rate of RBC destruction  Although more than 60 different RBC antigens are capable of eliciting an antibody response, the significant disease is associated primarily D antigen of Rh group and with ABO incompatibility.

Other rare antigens involved are - 

C or E antigen of Rh group o RBC antigens - Cw, Cx, Cu, K (kell), M, Duffy, S, P, MNS, Xg, Lutheran, Diego and Kidd
Anti-Lewis antibodies do not cause disease.